Thromboangitis obliterans is associated with
1. HLA - DR4
2. HLA - DR2
3. HLA - B5
4. HLA - B27

Correct answer: 3. HLA - B5

Explanation: HLA A9 and HLA B5 is associated with increased risk of Thromboangitis obliterans (TAO) HLA-B12 is protective against TAO.